Angle recession glaucoma occurs in
1. Concussion injury of the globe
2. Extraction of the cataract
3. Gonioctomy
4. Intraocular tumours

Correct answer: 1. Concussion injury of the globe

Explanation: A. i.e. (Concussion injury in the globe) (235 - Khurana 4th) (290 - Parson 20th)Angie - recession (cleavage) glaucoma - due to disruption of trabecular mesh work followed by fibrosis - seen in Traumatic glaucoma (Perforating as well as blunt injuries)(i) Symptom - Diminuation of vision(ii) Anterior segment - Mydriasis, tears of the iris sphincter, iridodialysis(iii) Gonioscopy - anterior recession >180deg(iv) Intraocular pressure - Moderate to high(v) Optic nerve head - Granulomatous cupping if chronic(vi) Treatment - Medical and surgery* Intractable secondary glaucoma is seen in - Diffuse iris melanoma**